All of the following are pre-cancerous conditions of the lids except
1. Solar keratosis
2. Naevus
3. Xeroderma pigmentosa
4. Carcinoma-in-situ

Correct answer: 2. Naevus

Explanation: TUMOURS OF THE LIDS Classification : 1. Benign tumours: These include; simple papilloma, naevus, angioma, haemangioma, neurofibroma and sebaceous adenoma. 2. Pre-cancerous conditions: These are solar keratosis, carcinoma-in-situ and xeroderma pigmentosa. 3. Malignant tumours: Commonly observed tumours include squamous cell carcinoma, basal cell carcinoma, malignant melanoma, and sebaceous gland adenocarcinoma. Ref:- A K KHURANA; pg num:-359